Aldosterone acts at:
1. Collecting duct
2. Glomerulus
3. Proximal convoluted tubule
4. Loop of Henle

Correct answer: 1. Collecting duct

Explanation: Ans. A Collecting ductRef: Ganong, 23rd ed. pg. 648* Aldosterone is secreted from adrenal cortex.* Action of aldosterone is localized to distal tubule are collecting duct.* Mechanism: Stimulates Na+K+ ATPase at basolateral end which generate gradient for movement of sodium ion from apical membrane causing an increase in sodium: reabsorption.